A 20 year old male come to causality with head injury. Examination reveals normal consciousness and blood in the tympanic membrane. Most likely cause is-
1. Extradural hemorrhage
2. Subdural hemorrhage
3. Intraventricular hemorrhage
4. Basilar fracture

Correct answer: 4. Basilar fracture